Inversion and eversion occurs at:
1. Subtalor joints
2. Ankle joint
3. Inferior Tibiofibular joint
4. All of the above

Correct answer: 1. Subtalor joints

Explanation: The talocalcaneonavicular and the calcaneocuboid joints are together referred to as the midtarsal or transverse tarsal joints. The important movements of inversion and eversion of the foot take place at the subtalar and transverse tarsal joints. Inversion is the movement of the foot so that the sole faces medially. Eversion is the opposite movement of the foot so that the sole faces in the lateral direction. Inversion is performed by the tibialis anterior, the extensor hallucis longus, and the medial tendons of extensor digitorum longus; the tibialis posterior also assists. Eversion is performed by the peroneus longus, peroneus brevis, and peroneus tertius; the lateral tendons of the extensor digitorum longus also assist. Ankle joint's active movements are dorsiflexion and plantar flexion Inferior Tibiofibular joint permits slight movements so that the lateral malleolus can rotate laterally during dorsiflexion of the ankle